Short metacarpal seen in?
1. Turner's syndrome
2. Pseudohypoparathyroidism
3. Pseudopseudohypoparathyroidism
4. All of the above

Correct answer: 4. All of the above

Explanation: Ans DCauses of short metacarpal are: Basal cell nevus syndrome, Idiopathic, Chromosomal: Turner syndrome and Pseudohypo- parathyroidism/pseudopseduohypoparathyroidism, Trauma/ infection.